Mutton for keratic precipitate and Busacca's nodules is seen in:
1. Granulomatous uveitis
2. Non-granulomatous uveitis
3. Posterior uveitis
4. Choroiditis

Correct answer: 1. Granulomatous uveitis

Explanation: Ans. Granulomatous uveitis